Which of the following is a tumor marker -
1. Acid hydrolase
2. Alkaline phosphatase
3. Melatonin
4. CPK-MB

Correct answer: 2. Alkaline phosphatase

Explanation: Alkaline phosphatase is a marker for bone tumors. Basic Pathology, Robbins. Page no.: 770